Quickening will be felt in pregnancy at
1. Second month
2. Fifth month
3. 10 weeks
4. 12 weeks

Correct answer: 2. Fifth month

Explanation: Quickening Pregnant woman will feel slight fluttering movement in her abdomen by fifth month of pregnancy. This is known as quickening, which gradually increase in intensity. Ref: FORENSIC MEDICINE AND TOXICOLOGY Dr PC IGNATIUS THIRD EDITION PAGE 330